In thyrotoxicosis which of the following is seen ?
1. Pretibial myxedema
2. Glycosuria
3. Unilateral exophthalmos
4. All

Correct answer: 4. All

Explanation: Ans. is 'd' i.e. All